Woolsoer's disease is
1. Pneumonic form of anthrax
2. Pneumonic plague
3. Hydatid disease of the lung
4. Caused by psittacosis

Correct answer: 1. Pneumonic form of anthrax

Explanation: Pulmonary anthrax : Common among workers of the wool factory due to inhalation of spores from infected wool. Hemorrhagic pneumonia with a high fatality rate. Hemorrhagic meningitis may occur as a complication. Reference: Textbook of Microbiology; Anathanarayan and paniker's; 10th edition; Page no: 250